Sucheta, a 29-year-old nulliparous women complains of severe menorrhagia and lower abdominal pain for 3 months. On examination, there was a 14 weeks size uterus with fundal fibroid. The treatment of choice is:
1. Myomectomy
2. GnRH analogs
3. Hystrectomy
4. Wait and watch

Correct answer: 1. Myomectomy

Explanation: First, let us see whether we would like to go for medical management or surgical intervention.
The patient is presenting with:

Severe menorrhagia
Chronic lower abdomen pain
These indications are strong enough for surgical intervention. Earlier size of fibroid >12 weeks was also an indication for surgery but nowadays it is not.
Now comes the question - whether myomectomy or hysterectomy should be done.

An indication of Myomectomy:

Myomectomy is specifically indicated in an infertile woman or woman desirous of bearing child and wishing to retain her uterus.